In the entire human genome, coding DNA constitutes?
1. 2%
2. 1%
3. 0.10%
4. 4%

Correct answer: 1. 2%

Explanation: Ans. a. 2%